Burden of disease is detected by
1. DALY
2. Sullivan's Index
3. IMR
4. Survival index

Correct answer: 1. DALY

Explanation: Disability Adjusted Life Years (DALY) is a measure of overall disease burden expressed as a number of years lost due to ill health, disability or early death. Ref: 25th edition Park's Textbook of Preventive and Social Medicine, Page no. 26